The coronal pulp has
1. Two surfaces
2. Five surfaces
3. Six surfaces
4. Four surfaces

Correct answer: 3. Six surfaces